Which lasers can be used to cure composite resins?
1. Argon
2. NdYAG
3. ErYAG
4. CO2

Correct answer: 1. Argon